Bromocriptine is indicated in the following except:
1. Parkinsonism
2. Galactorrhoea
3. Acromegaly
4. Hypothyroidism

Correct answer: 4. Hypothyroidism